Endothelial cells synthesize which of the following:
1. Fibrinogen
2. Factor-VIII
3. Factor-X
4. Factor-XII

Correct answer: 2. Factor-VIII

Explanation: The major site of factor VIII synthesis is in the hepatic endothelial cells. Liver is the major site of fibrinogen and factor X synthesis. Factor VIII circulates in a noncovalent complex with VWF. When associated with VWF the normal half-life of factor VIII is 8 to 12 hours. And the half-life is markedly reduced in the absence of VWF. Factor VIII has six tyrosine residues that are modified by sulfation. Sulfation of these residues is required for optimal activation by thrombin, maximal activity in complex with factor IXa, and maximal affinity of factor VIIIa for VWF. Ref: Monroe D.M., Hoffman M., Roberts H.R. (2010). Chapter 115. Molecular Biology and Biochemistry of the Coagulation Factors and Pathways of Hemostasis. In J.T. Prchal, K. Kaushansky, M.A. Lichtman, T.J. Kipps, U. Seligsohn (Eds), Williams Hematology, 8e.